For esthetic areas where high luster is required the restoration used usually
1. Glass ionomer restoratives
2. Hybrid resin composites
3. Microfilled resin composites
4. Macrofilled resin composites

Correct answer: 3. Microfilled resin composites